In anterior uveitis with secondary glaucoma, all mydriatics can be given, except –
1. Pilocarpine
2. Homatropine
3. Epinephrine
4. Tropicamide

Correct answer: 1. Pilocarpine

Explanation: Question is very simple, pilocarpine is a miotic drug (not a mydriatic drug).
But you should also know the fact that the use of miotics and cholinergic drugs such as pilocarpine are contraindicated since these agents may increase the already existing tendency of developing posterior synechiae and pupillary membrane.